Duhamel operation is done in -
1. Congenital pyloric stenosis
2. Hiatus hernia
3. Achlasia cardia
4. Hirschsprung's disease

Correct answer: 4. Hirschsprung's disease

Explanation: Ans. is 'd' i.e., Hirschsprung's disease